Test tube baby is produced by:
1. Sperm and ovum are directly implanted into fallopian tube
2. Sperm and ovum are fertilized in test tube and implanted
3. Fetus is grown in test tube
4. Only sperm is transferred

Correct answer: 2. Sperm and ovum are fertilized in test tube and implanted